Which of the following statements are true regarding pulmonary hypertension (PAH)?
1. Progressive breathlessness is the most common presentation
2. Oedema is an early feature of PAH
3. Prone to bradyarrhythmias
4. Systolic murmur of mitral regurgitation present

Correct answer: 1. Progressive breathlessness is the most common presentation

Explanation: PAH most commonly presents with progressive breathlessness. As right ventricular dysfunction develops patients can experience exertional dizziness and syncope. Oedema and ascites occur late in the disease. Anginal chest pain may occur due to exertional myocardial hypoperfusion in the setting of right ventricular hypertrophy, left main coronary artery compression by the pulmonary artery, or ischaemic heart disease. Patients are prone to tachyarrhythmias, most commonly atrial flutter, which can cause sudden decompensation. Haemoptysis, although uncommon, can occur in Eisenmenger's syndrome and CTEPH, where bronchial arteries may be enlarged. Signs suggestive of pulmonary hypertension include a loud pulmonary second heart sound, systolic murmur of tricuspid regurgitation, raised jugular venous pressure, peripheral oedema and ascites, but these signs may be subtle or absent in early disease. Ref: 1. Rich S, Dantzker DR, Ayres SM, Bergofsky EH, Brundage BH, Detre KM, et al. Primary pulmonary hypertension. A national prospective study. Ann Intern Med1987;107:216-23.MedlineWeb of Science 2. Bonderman D, Fleischmann D, Prokop M, Klepetko W, Lang IM. Images in cardiovascular medicine. Left main coronary artery compression by the pulmonary trunk in pulmonary hypertension. Circulation2002;105:265.